Isolation period of an infection is important to control its spread. What is TRUE about isolation period of enteric fever?
1. Till three bacteriologically negative stools and urine reports
2. Upto three days after starting the treatment
3. Till the fever subsides
4. Till Widal becomes negative

Correct answer: 1. Till three bacteriologically negative stools and urine reports

Explanation: Since typhoid fever is infectious and has a prolonged course, the cases are better transferred to a hospital for proper treatment, as well as to prevent the spread of infection. As a rule, cases should be isolated till three bacteriologically negative stools and urine reports, are obtained on three separate days. Ref: Park's Textbook of Preventive and Social medicine, 19th edition, Page 196.